Pigmented lesion in mouth and not in skin -
1. Cushing syndrome
2. Addison disease
3. Peutz Jegers
4. None of the above

Correct answer: 4. None of the above

Explanation: Ans. is 'd' i.e., None of the above o All of them are associated with oral as well as skin pigmentation.